Lysosomal a1 - 4 and a1 - 6 glucosidase deficiency is seen in
1. Von Gierke disease
2. Cori disease
3. Pompe disease
4. Tarui disease

Correct answer: 3. Pompe disease

Explanation: Type Name Enzyme Deficiency Clinical Features II Pompe disease Lysosomal a1 - 4 and a1 - 6 glucosidase (acid maltase) Accumulation of glycogen in lysosomes: juvenile onset variant, Muscle hypotonia, Death from heart failure by age 2 Adult-onset variant, muscle dystrophy Reference: Harper; 30th edition; Table: 18-2; Page no: 179